Ventral mesogastrium derivatives include all except
1. Falciform ligament
2. Coronary ligament
3. Lesser omentum
4. Gastrosplenic ligament

Correct answer: 4. Gastrosplenic ligament